Which is Not true regarding Hypertrophic pyloric stenosis:
1. Ultrasound is not useful for diagnosis
2. Usually presents between 2-8 weeks
3. Common in males
4. Dilated stomach with minimal gas

Correct answer: 1. Ultrasound is not useful for diagnosis

Explanation: Ans. is 'a' ie. U/S is not useful for diagnosis Option A is absolutely wrong statement as U/S is the inv. of choice for hypertrophic pyloric stenosis.Already explained in June, 2000.